Complication of Kerosene poisoning ?
1. Pneumonia
2. Vomiting
3. Hemoptysis
4. Diarrhoea

Correct answer: 1. Pneumonia

Explanation: Ans. is 'a' i.e., Pneumonia Bronchopneumonia and pulmonary edema are complications of kerosene poisoning. Vmiting and diarrhea also occur, but these are symptoms (not complications).